Most common heart disease which is associated with maximum mortality during pregnancy
1. >Eisenmenger syndrome
2. >MS
3. >AS
4. >VSD

Correct answer: 1. >Eisenmenger syndrome

Explanation: Eisenmenger syndrome This syndrome is secondary pulmonary hypertension that can develop with any cardiac lesion in which pulmonary vascular resistance becomes greater than the systemic vascular resistance and there should also be some right to left shunting. The most common underlying defects are atrial or ventricular septal defects and persistent ductus arteriosus. Patients usually are asymptomatic but eventually pulmonary hypertension becomes severe enough to cause right to left shunting. The prognosis for pregnancy depends upon the severity of pulmonary hypertension. The mortality rate in Eisenmenger's syndrome is 50%. It is the maximum mortality for any cardiovascular disorder in pregnancy. So termination of pregnancy is done in most cases. Maternal tolerance to specific heart conditions Well tolerated * Pulmonary stenosis * Aortic insufficiency * Mitral insufficiency * Congenital heart block Well tolerated if pulmonary hypertension is not present * Atrial septal defects * Ventricular septal defects * Patent ductus Variable tolerance depending on the functional capacity of the heart * Uncomplicated Aortic coarctation * Aortic stenosis * Mitral regurgitation * Aortic regurgitation Poorly tolerated and source of significant problems during pregnancy. * Mitral stenosis * Peripartum cardiomyopathy * Primary pulmonary hypertension * Eisenmenger's syndrome * Marfan's syndrome with dilated aortic root * Metallic valve prosthesis * Congenital cyanotic heart disease * Conditions listed in group C if pulmonary hypertension is present. * Any class III or IV lesion.